Major apolipoprotein of chylomicrons is
1. B-100
2. A-1
3. B-48
4. C-1

Correct answer: 3. B-48

Explanation: One or more apolipoproteins (proteins or polypeptides) are present in each lipoprotein. They are usually abbreviated as apo followed by the letter A, B, C, etc. Some apolipoproteins are integral and cannot be removed (eg, apo B), whereas others are bound to the surface and are free to transfer to other lipoproteins, eg, apos C and E). The major apolipoproteins of HDL (a-lipoprotein) are apoAs. The main apolipoprotein of LDL (b-lipoprotein) is apo B (B-100), which is found also in VLDL. Chylomicrons contain a truncated form of apo B (B-48) that is synthesized in the intestine, while B-100 is synthesized in the liver.Ref: Harper's Biochemistry; 30th edition; Chapter 25; Lipid Transport & Storage